Conventional drug used in the treatment of delirium is?
1. Haloperidol
2. Lithium
3. SSRIs
4. Morphine

Correct answer: 1. Haloperidol

Explanation: Ans. A. HaloperidolDrugs used for delirium:Typical antipsychotics: - Haloperidol (Doc), Thioridazine, chlorpromazine.Atypical antipsychotics: - Risperidone, quetiapine, olanzapine.Benzndiazepines (for delirium tremens): - Chlordiazepoxide, Diazepam, Lorazepam, Clonazepam.